True about interstitial lung disease -
1. Decreased FVC
2. Decreased FEV1
3. Presence of end inspiratory crackles
4. All of the above

Correct answer: 4. All of the above